Polio virus infection can result in all except –
1. Anterior horn cell damage
2. Autonomic involvement
3. respiratory involvement
4. Paralysis in > 70% of cases

Correct answer: 4. Paralysis in > 70% of cases